A 62 years old patient with uncontrolled hypertension resulting in ruptured aortic aneurysm submitted to surgery belongs to ASA class-
1. III
2. V
3. IV
4. VI

Correct answer: 2. V

Explanation: ASA Grading and Predictive Mortality ASA Grade Definition Mortality % I Normal healthy individual 0.06 II Mild systemic disease that doesn't limit activity 0.4 III Severe systemic disease that limits activity 4.5 IV Severe systemic disease that is constant threat to life 23 V Moribund, not expected to survive 24 hrs with or without surgery 51